Most common cause of rubeosis iridis -
1. Tumor
2. CRAO
3. Radiation retinopathy
4. Diabetic retinopathy

Correct answer: 4. Diabetic retinopathy

Explanation: Rubeosis iridis -neovascularisation of iris.it develops following retinal ischemia which is a common feature of: *proliferative diabetic retinopathy *central retinal vein occlusion *sickle cell retinopathy *Eale's disease Ref:Comprehensive ophthalmology-AK Khurana 6th edition chapter-10 page no:250